The uterine artery is a branch of ?
1. anterior division of external iliac artery
2. posterior division of external iliac artery
3. c) anterior division of internal iliac artery
4. posterior division of internal iliac artery

Correct answer: 3. c) anterior division of internal iliac artery

Explanation: The uterine artery is a branch of the anterior division of the internal iliac artery. It first runs medially towards the cervix, crossing the ureter above the lateral fornix of the vagina and 2 cm lateral to the cervix. Then the artery ascends along the side of the uterus, with a tortuous course. Finally, it runs laterally towards the hilus of the ovary, and ends by anastomosing with the ovarian artery. The tortuosity of the artery permits expansion of the uterus during pregnancy. Ref : B D Chaurasia's Human Anatomy , seventh edition , volume 2 , pg. no., 417.